Thrombosis of which of the following cerebral vessels leads to the Hemiplegia?
1. Anterior cerebral
2. Middle cerebral
3. Posterior cerebral
4. Lateral cerebral

Correct answer: 2. Middle cerebral

Explanation: Occlusion of lenticulostriate branches of middle cerebral artery produces small-vessel (lacunar) stroke within the internal capsule producing contralateral hemiplegia. Other features of MCA stroke are: Paralysis of the contralateral face, arm, and leg Sensory impairment over the same area (pinprick, cotton touch, vibration, position, two-point discrimination, stereognosis, tactile localization, barognosis, cutaneographia)Motor aphasia Homonymous hemianopia Paralysis of conjugate gaze to opposite side. (Ref: Harrison's textbook of internal medicine,19E pg- 2573)